Triad of Tuberous Sclerosis includes all, except:
1. Epilepsy
2. Low intelligence
3. Hydrocephalus
4. Adenoma sebaceum

Correct answer: 3. Hydrocephalus

Explanation: Diagnostic triad of Tuberous sclerosis includes epilepsy, intellectual disability and adenoma sebaceum (facial angiofibroma). Tuberous sclerosis (TS) is an autosomal dominant disorder which result from mutations in either the TSC1 gene encoding hamartin or the TSC2 gene encoding tuberin. Hamartin and tubulin form a complex which negatively regulate cell growth and proliferation through inhibition of mTOR. Ref: Harrison's Internal Medicine, 18th Edition, Chapter 284; The 5-Minute Neurology Consult By D. Joanne Lynn, Page 430; Tuberous Sclerosis Complex: Genes, Clinical Features and Therapeutics By David J. Kwiatkowsk, Page 221